Growth hormone secretion is decreased by ?
1. Hypoglycemia
2. Exercise
3. REM sleep
4. Stress

Correct answer: 3. REM sleep

Explanation: Ans. is 'c' i.e., REM sleep REM sleep decreases the secretion of GH. Other three stimuli increase GH secretion.